Preauricular lymph nodes may be enlarged in all except:
1. Bacterial conjunctivitis
2. Viral conjunctivitis
3. Allergic conjunctivitis
4. Chlamydial conjunctivitis

Correct answer: 3. Allergic conjunctivitis

Explanation: Ans., Allergic conjunctivitis